Which of the following does not possess both DNA and RNA:
1. Bacteria
2. Fungus
3. Virus
4. Spirochete.

Correct answer: 3. Virus

Explanation: VIRUS contain a single type of nucleic acid, i.e., either DNA or RNA, but not both. Bacteria and fungi contain both DNA and RNA. Spirochetes are bacteria.